Benzodiazepines differ from barbiturates in the following aspects except:
1. They have a steeper dose response curve
2. They have higher therapeutic index
3. They have lower abuse liability
4. They do not induce microsomal drug metabolizing enzymes

Correct answer: 1. They have a steeper dose response curve

Explanation: BENZODIAZEPINES (BZDs) BZDs produce a lower degree of neuronal depression than barbiturates. They have a high therapeutic index They have lower abuse liability: tolerance is mild, psychological and physical dependence, drug seeking and withdrawal syndrome are less marked BZDs do not alter disposition of other drugs by microsomal enzyme induction A specific BZD antagonist flumazenil is available which can be used in case of poisoning. The slope of the DRC is also important. A steep slope indicates that a moderate increase in dose will markedly increase the response (dose needs individualization), while a flat one implies that little increase in response will occur over a wide dose range (standard doses can be given to most patients). Barbiturates have steep DRC and BZDs have a flat DRC(dose response curve). Ref:- kd tripathi;pg num:-55, 401